Common warts are caused by which virus:
1. Cytomegalovirus
2. Human papilloma virus
3. Hepatitis B virus
4. Epstein-Barr virus

Correct answer: 2. Human papilloma virus

Explanation: Ans. B: Human papilloma virus Warts are common, and are caused by a viral infection, specifically by the human papillomavirus (HPV) and are contagious by contact with the skin of an infected person. It is also possible to get warts from using handtowels or other objects used by an infected person. They typically disappear after a few months but can last for years and can recur Warts are caused by a virus called human papilloma virus or HPV. Types 1, 2, and 3 cause most of the common warts. Type 1 is associated with deep plantar (sole of the foot) and palmar (palm of the hand) warts. Type 2 causes common warts, filiform warts, plantar warts, and mosaic plantar warts. Type 3 causes plane warts, commonly known as flat warts. Anogenital warts are caused by types 6, 11, 16, 18, 30, 31, 33, 34, 35, 39, 40 and others. HPV types 6 and 11 cause about 90% of genital warts cases. HPV types 16 and 18 currently cause about 70% of cervical cancer cases and also cause some vulvar, vaginal, penile and anal cancers